All are true about normal response curve except:
1. Bell shaped
2. Total area of curve=l
3. SD = 0
4. Mean, mode, median coincide

Correct answer: 3. SD = 0

Explanation: Ans: C (SD=0) Ref: Textbook of Preventive and Social Mediciner K Park,21st edition feb 2011.page no:788.Explanation:The standard normal curve : smooth,bell shaped.perfectly symmetrical curve (based on infinitely large number of observations).Total area of curve=lMean=0SD=1Mean, median and mode all coincides.